Which of the following protein can't have quaternary structure?
1. Albumin
2. Immunoglobulin
3. Hemoglobulin
4. Collagen

Correct answer: 1. Albumin

Explanation: For quaternary structure to be present you need more than one polypeptide chain Albumin is a single polypeptide. So, the highest structure it can have is tertiary structure. Hemoglobin & Immunoglobulin are tetramer - option b and c are excluded. Collagen has the quaternary structure of quarter staggered arrangement - option d is excluded. fig:-Quarter stagger arrangement of tropocollagen